The labyrinthine artery is a branch of ----- artery?
1. Anterior inferior cerebellar
2. Posterior cerebellar artery
3. Vertebral artery
4. Internal carotid artery

Correct answer: 1. Anterior inferior cerebellar

Explanation: Five branches of the basilar artery 1. Pontine artery 2. Labyrinthine artery 3. Anterior inferior cerebellar artery 4. Superior cerebellar artery 5. Posterior cerebral artery "The membranous part is supplied by the labyrinthine artery which either arises from Anterior inferior cerebellar (85-100% times) or is the direct branch of the basilar artery (<5% times)" Ref: 1. Gray's Basic Anatomy by Richard Drake, A. Wayne Vogl, Adam W. Pg 493 2. Learning Human Anatomy: Laboratory Text and Workbook by Julia Guy. 3. Clinical Anatomy for Students: Problem Solving Approach by Neeta V. Kulkarn, Pg 387